A pontic as compared to a missing posterior tooth should be
1. Same dimensions as that of natural teeth
2. Same dimensions mesiodistally but less facio Lingually
3. Same dimensions facia lingually but less mesio distally
4. Larger than naturaltooth, to exert same forces of mastication

Correct answer: 2. Same dimensions mesiodistally but less facio Lingually